Which of the following is not anti-apoptotic gene?
1. BCL-XL
2. MCL-1
3. BCL-XS
4. BCL-2

Correct answer: 3. BCL-XS

Explanation: BCL-XS is pro-apoptotic gene.